What is the effect of 1-2 MAC dose of volatile anaesthetic agents on EEG waveforms-
1. b-a-th-S
2. S-th-a-b
3. b -th-S- a
4. a - th-S- b

Correct answer: 1. b-a-th-S

Explanation: EEGs recorded on the scalp can be processed to quantify the amount of activity in each of four frequency bands: Delta (o to 3hz), Theta (4 to 7 Hz) alpha (8 to 13 Hz), Beta (> 13 Hz) Between 1-2 MAC shift is towards decreased frequency. b-a-th-S